Appetite for non-nutritive substances is called:
1. Pica
2. Anorexia
3. Bulimia
4. Binge

Correct answer: 1. Pica

Explanation: Pica: It is defined as persistenteating of nonnutritive substances. most often seen in young children but is common in pregnant women It is more common among children with autism spectrum disorder and intellectual disability Males= females Risk factors include: Nutritional deficiencies in minerals such as iron or zinc severe child maltreatment in the form of parental neglect and deprivation Lack of supervision Lack of adequate feeding of infants and toddlers Except in autism spectrum disorders and intellectual disability, pica often remits by adolescence